Chernico-parasitic theory of dental caries is proposed by
1. Miller
2. G.V. Black
3. Gottlieb
4. Schwartz

Correct answer: 1. Miller